Main lipid component of LDL
1. Triacylglycerol
2. Cholesterol
3. Phospholipids
4. Free fatty acids

Correct answer: 2. Cholesterol

Explanation: LipoproteinSourceDiameter (nm)Density (g/ml)Main lipid ComponentApolipoproteinsLDLVLDL20-251.019-1.063CholesterolB-100Ref: Harper's biochemistry; 30th edition; Chapter 25; Lipid Transport & Storage